What is the inheritance pattern of marfan syndrome?
1. AD
2. AR
3. XR
4. XD

Correct answer: 1. AD

Explanation: Refer the byte "Menddian disorders and their Inbetitance pattern"